Gonads to testes differentiation –
1. SRY gene
2. WN T–4 gene
3. DAX1 gene
4. None

Correct answer: 1. SRY gene

Explanation: 46 XX chromosome with genetic factor such as DAX1 and signaling molecule WNT-4 are necessary for development of ovary.
Y chromosome contains SRY gene which differentiates gonads to testes.